If refractory period of nerve is 1/2500th of a second, what can be the maximum frequency of excitation of the nerve?
1. 100 times/sec
2. 250 times/sec
3. 2000 times/sec
4. 2500 times/sec

Correct answer: 4. 2500 times/sec

Explanation: Refractory period is that time period after the first stimulus during which the nerve is "refractory" to another stimulus. Hence, maximum frequency of excitation can be 2500 times in a second, as each next stimulus can excite the nerve if applied immediately at the end of the refractory period (1/2500th of a second).